A 25 year old heterosexual male from Chandigarh came with history of dysuria and noted some pus like drainage in his underwear and at the top of his penis. He gave a history of being sexually active with five or six partners in the past 6 months. His physical examination showed yellow urethral discharge and tenderness at the tip of the penis. Gram staining of discharge showing Gram negative cocci. On the basis of Gram staining what is the probable cause of infection?
1. Mycoplasma hominis
2. Ureaplasma urealyticum
3. Gonococci
4. Chlamydia trachomatis

Correct answer: 3. Gonococci

Explanation: Ans. is 'c' i.e., GonococciImage description - Gram stain of a urethral exudate of a patient with gonorrhea. Nuclei of many polymorphonuclear cells are seen. Intracellular Gram negative diplococci (Neisseria gonorrhoeae) in one polymorphonuclear cell are marked by the arrow.